Properties of Ideal disinfectant except
1. Insoluble in water
2. Non toxic
3. Fast acting
4. Residual effect

Correct answer: 1. Insoluble in water